Greenish vaginal discharge with severe Itching points to a diagnosis of :
1. Senile vaginitis
2. Candidiasis
3. Trichomoniasis
4. Pyogenic vaginitis

Correct answer: 3. Trichomoniasis

Explanation: Trichomoniasis